Which of the following is NOT TRUE about Dupuytren's contracture?
1. A/w peyronie's disease
2. First affect index finger
3. Nodule formation and thickening of plantar fascia
4. Amputation may be required

Correct answer: 2. First affect index finger

Explanation: Dupuytren's contracture is frequently found in the plantar fascia of the instep and occasionally in the penis (Peyronie's disease). Dupuytren's contracture manifests itself most commonly in the palm by thickening, which may be nodular, and therefore mistaken for a callosity. Dupuytren's fascitis may involve any digit or web space, but it affect predominantly the ring and small fingers. The hopelessly contracted little finger must sometimes be amputated. Ref: CSDT 11/e, Page 1284-85.